Most common nerve involvement in fracture surgical neck humerus :
1. Axillary nerve
2. Radial nerve
3. Ulnar nerve
4. Median nerve

Correct answer: 1. Axillary nerve

Explanation: Ans. is 'a' i.e. Axillary nerve Most common nerve involved in :Anterior dislocation of shoulder-Axillary nerve* Surgical neck of humerus-Axillary nerve* Shaft of humerus-Radial nerve* Supracondylar humerus-Median nerve Volkman's ischemic contracture-Median nerve*Dislocation of lunate-Median nerve *